Most common nerve damaged in CSOM is
1. II
2. III
3. VI
4. VII

Correct answer: 4. VII

Explanation: The facial nerve is most commonly damaged in CSOM because it traverses through the middle ear.Ref: Hazarika; 3rd ed; Pg 164